Aminopeptidase is elevated in obstruction of ?
1. Ureter
2. Urethra
3. CBD
4. Bladder

Correct answer: 3. CBD

Explanation: Ans. is 'c' i.e., CBD